Most common site of tuberculosis in gastrointestinal tract is -
1. Stomach
2. Small intestine
3. Rectum
4. Ileocecal junction

Correct answer: 4. Ileocecal junction

Explanation: Ans. is 'd' i.e., Ileocecal junction Tubercular ulcero The ileocecal region is the most common site of involvememt; i.e. ileocecal tuberculosis. Intestinal TB is divided into three typesUlcerative form : It is the most common form. It is characterized by multiple superficial ulcers placed transversly along ileum.Hypertrophic form : There is thickening of bowel wall with scarring, fibrosis and narrowing of lumen.Ulcerohypertrophic form : It has combination of features of both ulcerative and hypertrophic forms.o In contrast to typhoid ulcer, stricture is common in Tubercular ulcer.